Felon's incision:
1. Transverse
2. Longitudinal
3. Bilateral longitudinal
4. Fish mouth

Correct answer: 2. Longitudinal

Explanation: Ans. (b) LongitudinalHighlights regarding Felon (Pulp space infection) drainage:* Basic principle: Longitudinal incision distal to DIP crease always.Mid-lateral approach * Indicated for deep felons with no foreign body and not discharging* Incision on ulnar side for digits 2, 3 and 4 and radial side for thumb and digit 5 (Little finger).Volar longitudinal approach* Most direct access* Indicated for superficial felons, foreign body penetration or visible drainage.Incisions to avoid:* Fish mouth incisions: Leads to unstable finger pulp* Double longitudinal or transverse incision: Injury to digital nerve and artery.